Spermatogenesis takes place in ?
1. Epididymis
2. Seminiferous tubule
3. Ductus deferens
4. Prostate

Correct answer: 2. Seminiferous tubule

Explanation: Ans. is 'b' i.e., Seminiferous tubule Spermatogenesis occurs in seminiferous tubules. Spermatogenesis refers to the process of formation of spermatozoa (sperm) from primitive germ cells (spermatogonia). Steps in spermatogenesis involve :? i) Spermatogonia (primitive germ cells) undergo mitosis to form primary spermatocytes. Both spermatogonia and primary spermatocytes have diploid chromosomes (46 chromosomes or diploid of 23 chromosomes). ii) Primary spermatocytes undergo meiosis to form secondary spermatocytes. Secondary spermatocytes have haploid (23) chromosomes. iii) Secondary spermatocytes undergo mitosis to form spermatids. iv) Spermatids do not divide further but undergo morphological changes to form sperms (spermatozoa). This step of formation of spermatozoa from spermatids is called spermiogenesis. The spermiogenesis takes place in the deep folds of cytoplasm of sertoli cells.